The following is suggestive of an organic cause of the behavioral symptoms :
1. Formal thought disorder
2. Auditory hallucinations
3. Delusion of finite
4. Prominent visual hallucination

Correct answer: 4. Prominent visual hallucination

Explanation: Visual and other non - auditory hallucinations are seen commonly in organic psychiatric illness. On the other hand, auditory hallucinations are common in schizophrenia.